A 5-year-old boy presents with recurrent headaches. As part of his assessment, he undergoes an MRI scan of his brain. This demonstrates enlargement of the lateral and third ventricles. Where is the most likely site of obstruction?
1. Foramen of Luschka
2. Foramen of Magendie
3. Foramen of Munro
4. Aqueduct of Sylvius

Correct answer: 4. Aqueduct of Sylvius

Explanation: NameFromTointerventricular foramina (Monro)lateral ventriclesthird ventriclecerebral aqueduct (Sylvius)third ventriclefourth ventriclemedian aperture (Magendie)fourth ventriclesubarachnoid space the cisterna magnaright and left lateral aperture (Luschka)fourth ventriclesubarachnoid space the cistern of great cerebral vein